All of the following are the advantages of using Raloxifene over estrogen in post menopausal women except :
1. Reduces fracture rates
2. Avoids endometrial hyperplasia
3. Reduces the incidence of venous thrombosis
4. No increase in incidence of breast carcinoma

Correct answer: 3. Reduces the incidence of venous thrombosis